Mechanism of action of beta blokers in glaucoma?
1. Increased aqueous outflow
2. Decreased aqueous production
3. Opening of trabecular meshwork
4. All of the above

Correct answer: 2. Decreased aqueous production

Explanation: Ans. is 'b' i.e., Decreased aqueous production